Gray equals
1. 100 rad
2. 1000 rad
3. 10000 rad
4. All

Correct answer: 1. 100 rad

Explanation: A i.e., 100 rads Rad (radiation absorbed dose) is energy deposited within living matter & is equal to 100 ergs/gm of tissue. Whereas, I gray is absorption of 1 joule energy by 1 kg living matter.